Maximum fertilizable life span of oocyte is -
1. 12 hours
2. 24 hours
3. 36 hours
4. 48 hours

Correct answer: 2. 24 hours

Explanation: Ans is 'b' i.e., 24 hours o Fertilizable life span of oocyte ranges from 12 to 24 hours whereas that of sperm is 48 to 72 hours.